Hodgkins lymphoma is caused by:
1. EBV
2. CMV
3. HHV6
4. HHV8

Correct answer: 1. EBV

Explanation: Ref: Robbin's Pathology, 9th ed. pg. 588-90, 606EBVNasopharyngeal cancer, Burkitt lymphoma, Hodgkins and non-Hodgkin lymphoma; Infectious mononucleosis (Paul Bunnel test).CMVCMV retinitisHHV 6Primary effusion lymphomaHHV 8Kaposi sarcoma